Peripheral nerve regenerates at a rate of
1. 0.2 mm/day
2. 1 mm/day
3. 2 mm/day
4. 0.5 nun/day

Correct answer: 2. 1 mm/day

Explanation: The axonal regeneration proceeds slowly at rate of 1-2 mm/day in human.